The 'ape-thumb deformity' occurs due to lesion of:
1. Radial nerve
2. Median nerve
3. Ulnar nerve
4. Musculocutaneous nerve

Correct answer: 2. Median nerve

Explanation: Ans. B. Median nerveThe 'ape-thumb deformity' is lack of ability to abduct and oppose the thumb due to paralysis of the thenar muscles. It can occur with an injury of the median nerve either at the elbow or the wrist, impairing the thenar muscles and opponents pollicis muscle.